Regarding wound healing which is not true?
1. Impaired by radiation
2. Impaired by haematoma
3. Impaired by infection
4. Stimulated by steroids

Correct answer: 4. Stimulated by steroids

Explanation: (D) Stimulated by steroids FACTORS INFLUENCING WOUND HEALINGLocal factorsSystemic factors* Blood supply* Denervation* Infection* Foreign body Hematoma* Mechanical stress* Neurotic tissue* Age* Anemia* Drugs eg- steroids cytotoxic drugs.* Genetic disorders (Ehlers - danlos syndrome, Marians syndrome)* Hormones* Diabetes* Malignancy* Uremia,Jaundice* Malnutrition* Obesity* Systemic infection* Vitamin deficiency (vitamin C)* Trace metal deficiency (zn, cu)> Steroids, infection, diabetes, etc. reduce body's resistance. So healing is delayed.